Cyanosis is NOT present in:
1. TGA
2. PDA with pulmonary arterial hypertension
3. COA
4. Ebstein's anomaly

Correct answer: 3. COA

Explanation: Ans. C i.e. COA Differential cyanosis (cyanosis in toes but NOT in fingers) is characteristic of PDA with pulmonary arterial hypertension and right to left shunt